Most common tumor of the anterior mediastinum tumour is -
1. Thymoma
2. Lymphoma
3. Neurogenic tumour
4. Vascular cyst

Correct answer: 1. Thymoma